About Hernia, true statement is
1. In children, indirect inguinal hernia is treated medically
2. In Ritcher's hernia, absolute constipation is seen
3. Indirect inguinal hernia is the MC type
4. Deep inguinal ring is lateral and above the pubic tubercle

Correct answer: 3. Indirect inguinal hernia is the MC type

Explanation: Surgery is the only treatment option for hernia in any age group, there is no role of medical treatment Deep ring is situated 1.25 cm above the inguinal ligament, midway between the symphysis pubis and ASIS Deep ring is an opening in the fascia transversalis Superficial ring lies immediately above the pubic tubercle, as a triangular gap in the external oblique app neurosis Clinical features mimic gastroenteritis in strangulated Ritcher's hernia Ref: BDC 4th edition Pgno : 208